Quarantine was originally introduced as a protection against
1. Plague
2. Tuberculosis
3. AIDS
4. Malaria

Correct answer: 1. Plague

Explanation: In 14th century ‘quarantine’ was introduced in Europe to protect against importation of Plague
Ships, crews, travelers were detained for a ‘40 day period’